Best method of detection of retained glass intraocular foreign body is
1. Radiography
2. Usg
3. Tonometry
4. CT scan

Correct answer: 4. CT scan

Explanation: In CT or MRI, accurate foreign body localization is possible.